Microscopy of corneal ulcer showed branching septate hyphae. The probable diagnosis -
1. Candida
2. Mucor mycosis
3. Aspergillus
4. Histoplasma

Correct answer: 3. Aspergillus

Explanation: Filamentous fungi eg.Aspergillus,fusarium,Alternaria,Cephalosporium,Curvularia and Pencillium are septate multicellular fungi.Mucor and rhizopus are non-septate fungi.Reference:Comprehensive ophthalmology,AK Khurana,6th edition,page no.106